Trisomy 21 is ?
1. Down's syndrome
2. Turner syndrome
3. Kleinfelter syndrome
4. Edward syndrome

Correct answer: 1. Down's syndrome

Explanation: Ans. is 'a' i.e., Down's syndrome